A 60-year-old male diabetic and hypertensive patient was found unconscious in the morning. On examination pulse rate is 120/min, BP=160/100 mm Hg. What is the next step to be done for management?
1. Order CT scan
2. Check blood glucose
3. Give intravenous mannitol
4. Immediately reduce BP with antihypertensives

Correct answer: 2. Check blood glucose

Explanation: Choice C is ruled out since no features of raised ICP are given. Choice D is ruled out since BP lowering is done in case of CNS events if the BP> 185/110 mm Hg. Moreover, CT is required for diagnosis of a CNS event. At lower BP values reducing BP would be counterproductive and can lower Brain perfusion. Now we have to choose between the two choices CT scan and blood glucose. As per the algorithm of management of an unconscious patient with DM, blood sugar levels should be checked first.